Reason for preferring cis-Atracurium over Atracurium is:-
1. Faster acting than Atracurium
2. Lesser provocation of histamine release
3. Shorter action than atracurium
4. Does not undergo Hoffman elimination

Correct answer: 2. Lesser provocation of histamine release

Explanation: Cis-atracurium and Atracurium both are NMJ blocking agent. Cis atracurium has same pharmacokinetic properties as atracurium. Atracurium release histamine and is metabolized to Laudonasine, which can provoke seizures. Both undergo Hoffman elimination.